All of the following are used to assess the nutritional status of an individual, except -
1. Urinary nitrogen excretion
2. Mid arm circumference
3. Serum immunoglobulin
4. Serum transferrin

Correct answer: 3. Serum immunoglobulin

Explanation: Serum immunoglobulin is not a measure to assess the nutritional status. REF. PARK'S TEXTBOOK OF PREVENTIVE AND SOCIAL MEDICAL 21ST EDITION. PAGE NO - 586